The earliest case of severe acute respiratory syndrome (SARS) was reported in -
1. China
2. Singapore
3. Vietnam
4. Toronto

Correct answer: 1. China

Explanation: The earliest case of SARS reported in China,in late 2002. Reference:Park's textbook of preventive and social medicine,K.Park,23rd edition,page no:174.